Na+ channel concentration is highest at -
1. Dendrites
2. Soma
3. Axon hillock
4. Axon

Correct answer: 3. Axon hillock

Explanation: Ans. is 'c' i.e.. Axon hillock o Functionally speaking, the neuron can be divided into four zones : -Dendrides and Soma (cell body) - Receptor zoneAxon hillock of body & initial segment of axon - Generator area (Nerve impulse is generated)QAxon (main length) : - Transmitter zone (Transmits nerve impulse).The nerve terminals (Terminal knobs or buttons) : - Release zone (release neurotransmitters).o Axon hillock of body and initial segment of axon are the area where nerve impulse is generated as they have lowest threshold for excitation.o This is because they have a much higher density of voltage gated sodium channels.